Basal layer in primordial cyst is arranged in the form of:
1. Tennis racket
2. Picket fence
3. Linear
4. Irregular

Correct answer: 2. Picket fence